Which of the following is most radiolucent?
1. Bone
2. Dentin
3. Enamel
4. Air space

Correct answer: 4. Air space